Which of the following infections is associated with persistent neutrophil recruitment even after 24 hours of infection?
1. Tuberculosis
2. Virus
3. Pseudomonas
4. Protozoa

Correct answer: 3. Pseudomonas

Explanation: In most forms of acute inflammation neutrophils predominate in the inflammatory infiltrate during the first 6 to 24 hours and are replaced by monocytes in 24 to 48 hours. In certain infections--for example, those produced by Pseudomonas bacteria--the cellular infiltrate is dominated by continuously recruited neutrophils for several days. In viral infections, lymphocytes may be the first cells to arrive; in some hypersensitivity reactions, eosinophils may be the main cell type. Ref: Robbins 8th edition, Chapter 2.